A 52 year old lady with a vesicovaginal fistula after abdominal hysterectomy is not responding to conservative management. Most useful and important next investigation is:
1. Triple Swab Test
2. Urine culture
3. Cystoscopy
4. IVP

Correct answer: 3. Cystoscopy

Explanation: The most valuable investigation in an established case of a vesicovaginal fistula should be cystoscopy. Ref: Female Pelvic Health and Reconstructive Surgery By Carlin and Leong, 1st Edition; Minute Obstetrics and Gynecology consult, 2008, Page 210; Urogynecology and Female Pelvic Reconstructive Surgery : Just the Facts By Sam Siddighi, Jeffrey S. Hardesty, Page 190.